Mechanism of action of propylthiouracilin hyperthyroidism is:
1. Inhibition of organification of iodine
2. Inhibition of oxidation of iodine
3. Inhibition of coupling of two DIT residues
4. All of the above

Correct answer: 4. All of the above

Explanation: (Ref: KDT 6/e p248) Propylthiouracil, carbimazole and methimazole act by inhibiting the enzyme, thyroid peroxidase. It catalyses: Oxidation of iodine Organification Coupling